Danazol is a :
1. Androgen derivative
2. Oestrogen
3. Progesterone
4. FSH derivative

Correct answer: 1. Androgen derivative

Explanation: Androgen derivative